Infection by which of the following does not effect eye:
1. Onchocercera
2. Trypanosoma
3. Tinea solium
4. Trichuris

Correct answer: 4. Trichuris

Explanation: Trichuris